Fat embolism commonly occurs in:
1. Scurvy
2. Fracture of long bones
3. Paget's disease
4. Psoriasis

Correct answer: 2. Fracture of long bones

Explanation: Ans. Fracture of long bones